"Wickham striae " are seen in
1. Psoriasis
2. Pityriasis rubra pilaris
3. Lichen planus
4. Lichen nitidus

Correct answer: 3. Lichen planus

Explanation: Wickham striae are the whitish criss cross streaks typically seen in oral Lichen planus.